Which of the following is the drug of choice in pregnancy induced hypertension:
1. Methyldopa
2. Diltiazem
3. Metoprolol
4. Enalapril

Correct answer: 1. Methyldopa